Blood cholinesterase level should be estimated for three weeks, in non-fatal cases of poisoning with-
1. Parathion
2. Eldrine
3. Thallium sulphate
4. Arsenic oxide

Correct answer: 1. Parathion

Explanation: Parathion is an organophosphorus compound (plasma cholinesterase activity is measured in poisoning of organophosphorus compounds).